A Person is underweight if BMI is
1. <25
2. <18.5
3. <22
4. <20

Correct answer: 2. <18.5